Major extensor of the thigh is -
1. Gluteus maximus
2. Psoas major
3. Obturator internus
4. Iliacus

Correct answer: 1. Gluteus maximus

Explanation: Extension of hip is by Gluteus maximus and hamstrings.